The most successful materials for soft liner applications have been
1. Impression plaster
2. Silicone rubbers
3. Waxes
4. Irreversible hydrocolloids

Correct answer: 2. Silicone rubbers